Slow waves in EEG is seen in
1. Depression
2. Mania
3. Schizophrenia
4. Delirium

Correct answer: 4. Delirium

Explanation: schizophrenia: widespread slow activity, dysrhythmia, spikes, and spike-wave complexes) generally have been regarded as nonspecific. mood disorders : depression: an increase of alpha and/or beta activity left frontal regions in depressed patients. ( decreased left frontal activation) manic episode: Less alpha power and higher EEG frequencies in manic patients with respect to healthy subjects have been interpreted as a sign of overarousal Delirium: diffuse slowing of the background rhythms from alpha (8 to 13 Hz) to theta (4.0 to 7.5 Hz) activity. Delta activity (<3.5 Hz) usually does not become prominent until the patient approaches non-responsiveness. The typical changes are slowing or even loss of the posterior dominant rhythm, slow wave increase, reduced reactivity to eye-opening, and intermittent, especially frontally located, rhythmic delta activity (FIRDA). EEG changes in mood disorders, schizophrenia are non-specific. The changes in delirium are consistent than other conditions. Considering the best answer to go with D) Delirium Reference: Page No.237 1.15 Applied Electrophysiology CTP